Bulls spread sign' is seen in:
1. Herpes gestationalis
2. Bullous pemphigoid
3. Pemphigus vulgaris
4. Herpes simplex

Correct answer: 3. Pemphigus vulgaris

Explanation: Pemphigus vulgaris